All are radiological features of Mitral stenosis except –
1. Straight left border of heart
2. Oligemia of upper lung fields
3. Pulmonary hemosiderosis
4. Lifting of left bronchus

Correct answer: 2. Oligemia of upper lung fields

Explanation: Radiological signs of mitral stenosis

Due to left atrial enlargement:- Straightening of left heart border, elevation of left main bronchus with the widening of the carina, double atrial shadow (Double density sign), posterior displacement of the esophagus on barium swallow, Prominent posterosuperior part of the cardiac shadow.
Due to pulmonary venous hypertension :- Diversion of blood flow from the lung bases to the upper zone (cephalization of pulmonary vascularity), pulmonary hemosiderosis, peribronchial cuffing, Kerley B lines and sometimes Kerley 'A' lines, perihilar haze, alveolar edema, small pleural effusion, pulmonary ossicles, fine punctate calcification in lung.
Due to elevated pulmonary hypertension:- Enlargement of central pulmonary vessels with peripheral pruning.


There is increased blood flow (plethora) in upper lung fields due to the diversion of blood flow to the upper zone.